Which of the following if normal rules out PEM?
1. Skin fold thickness
2. ECF Fluid
3. Lean body mass
4. Serum Potassium

Correct answer: 3. Lean body mass

Explanation: Lean body mass if normal usually rules out PEM. Normal extracellular fluid or serum potassium doen not help in ruling out PEM Normal skin fold thickness in a child does not rule out PEM, as skinfold thickness can increase in children with edema (fluid in the subcutaneous tissue) A skinfold caliper is used to assess the skinfold thickness, so thata prediction of the total amount of body fat can be made. This method is based on the hypothesis that the body fat is equally distributed over the body and that the thickness of the skinfold is a measure for subcutaneous fat. The sum of four skinfolds To estimate the total amount of body fat, four skinfolds are measured: Biceps skinfold (front side middle upperarm) Triceps skinfold (back side middle upperarm) Subscapular skinfold (under the lowest point of the shoulder blade) Suprailiac skinfold (above the upper bone of the hip) For this measurement the patient must be able to sit or stand in an upright position For this measurement the patient must be able to sit or stand in an upright position.